In injury to the neck of fibula, which of the following nerve is usually injured?
1. Superficial peroneal nerve
2. Deep peroneal nerve
3. Common peroneal nerve
4. Tibial nerve

Correct answer: 3. Common peroneal nerve

Explanation: Ans. (c) Common peroneal nerveRef: BDC 6th ed. vol. II / 29; SnelVs Anatomy/ 273Common peroneal nerve is palpated against the neck of the fibula. It is a superficial nerve hence; it is unprotected as compared to tibial nerve. It may be injured in the fracture of neck of the fibula or due to a pressure of a tightly applied plaster cast. It is also affected in leprosy where it gets thickened and tender.Clinical SignificenceCommon peroneal nerve injury causes paralysis of dorsiflexors of the ankle joint and the evertors of the foot supplied through its superficial and deep perosneal nerve branches respectively. The paralysis of the muscles may result in 'foot drop' the patient walks on his toes.